RAST test is used in diagnosis of
1. Allergic dermatitis
2. Seborrhoeicdematitis
3. Mycosis fungoides
4. Squamous cell carcinoma

Correct answer: 1. Allergic dermatitis

Explanation: Ans. is 'a' i.e., Allergic dermatitis Diagnostic tests in allergic contact dermatitisDiagnostic Tests (if indicated)o Patch testingo Photopatch testingo Tests for immediate hypersensitivityy Radioallereosorbent assav test (RAST)y Open and semiopen patch tests (read at 10 and 45 minutes)y Prick testy Scratch-chamber testo Repeat open application "use" testo Potassium hydroxide examination to fungi, glass fiberso Fungal, bacterial, and viral smears and cultureso Skin biopsieso Dimethylglyoxime test for detecting nickel, other tests (detection of chromates and formaldehyde)o Chemical analysis